Drug contra-indicated in HOCM is:
1. Verapamil
2. Propranolol
3. Digoxin
4. Amiadarone

Correct answer: 3. Digoxin

Explanation: Ans. C: Digoxin Digoxin and vasodilators may increase outflow tract obstruction and should be avoided in HOCM